Branched chain ketoaciduria is a defect of catabolism of all the following aminoacids except-
1. Leucine
2. Isoleucine
3. Valine
4. Methionine

Correct answer: 4. Methionine

Explanation: Ans. is 'd' i.e., Methionine * Branched chain ketoaciduria or Maple Syrup Urine Disease (MSUD) is caused by a defect of branched chain keto acid dehydrogenase enzyme complex (BCKD). BCKD catalyses the second step of catabolism of branched chain amino acids - Leucine, Isoleucine and Valine.